Blephritis acarica is caused by-
1. Streptococcus
2. Ascaricus
3. Propionibacterium
4. Demodex folliculorum

Correct answer: 4. Demodex folliculorum

Explanation: *Blephritis acarica is due to Demodex folliculorum. Ref: Sunita Agarwal 2nd/e p.628